Syndrome of apparent mineralocorticoid excess is due to?
1. Increased aldosterone production
2. Lack of inactivation of aldosterone
3. Increased cortisol production
4. Lack of Inactivation of cortisol to cortisone

Correct answer: 4. Lack of Inactivation of cortisol to cortisone

Explanation: Cortisol can stimulate mineralocorticoid receptors. But renal inactivation of cortisol occurs to form cortisone and thereby BP remains normal. SAME (Syndrome of Apparent Mineralocorticoid Excess) leads to lack of this inactivation. The resultant increase in cortisol leads to excess activation of mineralocorticoid receptor and results in hypertension.